True about prion:
1. Are virus coded
2. Cause misfolding of protein
3. Cleave protein
4. Defect in synthesis of protein.

Correct answer: 2. Cause misfolding of protein

Explanation: Ans (b) Cause misfolding of protein Prion is an infectious agent made up of protein. In the presence of prion protein, the normal PRPc protein is converted into an abnormally folded PRPsc protein (protein with more p sheets). This PRPc protein is resistant to proteolysis and get accumulated. The "alternatively folded" is a better term than misfolded, as the abnormal protein has got alternative function.